Antenatal detection of bone fractures on USG suggests?
1. Achondroplasia
2. Marfan's syndrome
3. Osteogenesis imperfecta
4. Chondrodysplasia punctata

Correct answer: 3. Osteogenesis imperfecta

Explanation: Ans CUltrasound findings of osteogenesis imperfecta include a marked shortening of the long bones, multiple bone fractures and lack of mineralization of the skull.